Stack method of dental age estimation is used for:
1. Infants
2. Adults
3. Elderly
4. Adolescents

Correct answer: 1. Infants

Explanation: Ans. Infants